Starry sky appearance is seen in
1. Pagets disease
2. Cherubism
3. Garrey's osteomyelitis
4. Burkitts lymphoma

Correct answer: 4. Burkitts lymphoma